Psammoma bodes are seen in ?
1. Necrosis
2. Apoptosis
3. Metastatic calcification
4. Dystrophic calcification

Correct answer: 4. Dystrophic calcification

Explanation: Psammoma bodies
Concentrically laminated calcified concretions (dystrophic calcification)
Found in-Papillary Carcinoma of Thyroid and kidney, Ovary and Salivary Glands, Calcified bodies in Meningioma, Mesothelioma